Western equine encephalitis virus is transmitted by-
1. Anophales mosquito
2. Culex mosquito
3. Sandfly
4. Aedes mosquito

Correct answer: 2. Culex mosquito

Explanation: Ans. is 'b' i.e., Culex mosquitoMosquito speciesDisease transmittedAnophelesMalaria, filariasis (not in India), arboviruses of febrile and encephalitic diseaseCulexBaneroftian filariasis, Japanese encephalitis, West- Nile fever, St. Louis encephalitis, western equine encephalitisAedesYellow fever (in Africa), Dengue, Dengue haemorrhagic fever, Chickengunya, Chickengunya haemorrhagic fever, Rift valley fever, Sindbis, Baneroftian filariasis (not in India)MansoniaBrugian filariasis, Baneroftian filariasis, Chickengunya